Magenta red tongue with cheilosis is caused by deficiency of?
1. Thiamine
2. Riboflavin
3. Cyanocobalamine
4. Ascorbic acid

Correct answer: 2. Riboflavin

Explanation: Ans. B. RiboflavinNutrientClinical findingDietary level per day associated with overt deficiency in adultsContributing factors to DeficiencyRiboflavinMagenta tongue, angular stomatitis, seborrhoea, cheilosis<0.6mg-